Which of the following best represents 'ranula'
1. A type of epulis
2. A thyroglossal cyst
3. Cystic swelling in the floor of mouth
4. Forked uvula

Correct answer: 3. Cystic swelling in the floor of mouth

Explanation: Ranula is an extravasation cyst arising from sublingual gland or mucous glands of Nuhn or glands of Blandin in the floor of mouth SRB,5th,365.